Hamman's sign is seen in:
1. Pulmonary thromboembolism
2. Pulmonary atelectasis
3. Pneumomediastinum
4. Intralobar pulmonary sequestration

Correct answer: 3. Pneumomediastinum

Explanation: Hamman's sign is the Crunching sound heard with every heart beat because of heart beating against air fill.